HIV post-exposure prophylaxis can be given upto -
1. 1-2 hrs
2. 14 hrs
3. 18 hrs
4. 72 hrs

Correct answer: 4. 72 hrs

Explanation: Ans. is D 72 hrs Ref- PEP for HIV - Ideal time to start is as early as possible to within 2 hours of exposure.Not useful after 72 hours of exposure. Eligibility to PEP is assessed by using Status Code (SC) and Exposure Code (EC). Two (basic) and three drugs (expanded) regimens are available. Duration is 28 days. Key recommendations by WHO The recommended PEP regimens are: For adults: Tenofovir combined with either lamivudine (3TC) or emtricitabine (FTC) as preferred backbone drugs and these are also the preferred drugs for treating HIV. The recommended third drug is ritonavir-boosted lopinavir (LPV/r), which is also recommended by WHO as a preferred drug for HIV treatment. For children: Zidovudine (AZT) and lamivudine (3TC) backbone drugs for children aged 10 or below, with ritonavir-boosted lopinavir (LPV/r) recommended as the third drug choice. This is also in alignment with preferred drugs for treating HIV in children. Recommendations for simplifying prescribing approaches and supporting adherence include: Prescribing: To improve uptake and completion of PEP, WHO recommends providing the full 28-day course at first visit, rather than requiring patients to return multiple times for prescriptions. Adherence support: To improve adherence and completion rates, WHO suggests programmes offer enhanced adherence counseling. o Anti-retroviral drug for post-exposure prophylaxis should be initiated as soon as possible after the exposure within the first few hours and no later than 72 hours. o So, the best answer here is 1-2 hours (first few hours). POST-EXPOSURE PROPHYLAXIS FOR HIV (WHO 2014) Number of antiretroviral drugs An HIV post-exposure prophylaxis regimen with two antiretroviral drugs is effective, but three drugs are preferred. Preferred antiretroviral regimen for adults and adolescents TDF + 3TC (or FTC) is recommended as the preferred backbone regimen for HIV post-exposure prophylaxis among adults and adolescents. LPV/r or ATV/r is recommended as the preferred third drug for HIV post-exposure prophylaxis aomong adults and adolescents. Where available, RAL, DRV/r or EFV can be considered as alternative options. Preferred antiretroviral regimen for children < 10 years old AZT + 3TC is recommended as the preferred backbone regimen for HIV post-exposure prophylaxis among children 10 years and younger. ABC + 3TC or TDF + 3TC (or FTC) can be considered as alternative regimens. LPV/r is recommended as the preferred third drug for HIV post-exposure prophylaxis among children younger than 10 years. An age-appropriate alternative regimen cen be identified among ATV/r, RAL, DRV, EFV and NVP. Prescribing frequency A 28-day prescription of antiretroviral drugs should be provided for HIV post-exposure prophylaxis following intial risk assessment. Adherence support Enhanced adherence counselling is suggested for all individuals initiating HIV post-exposure prophylaxis.